Which of the following is true about typhoid?
1. Fecal carriers are less common
2. Vi antibodies are present in about 80% of chronic carriers
3. Gall bladder usually not involved in carrier state
4. Tetracycline is the DOC for carriers

Correct answer: 2. Vi antibodies are present in about 80% of chronic carriers

Explanation: Convalescent carriers excrete the bacilli for 6-8 weeks.Persons who excrete the bacilli for more than a year after a clinical attack are called chronic carriers.In chronic carriers, the organism persists in the gallbladder. Vi antibodies are present in about 80% 0f chronic carriersFecal carriers are more frequent than urinary carriers. The chronic urinary carrier state is often associated with some abnormality of the urinary tract.Ampicillin or amoxicillin + Probenecid for 6 weeks achieve eradication in 70% of chronic carriersPark 23e pg: 236